Picket fence fever is a feature of-
1. Acute mastoiditis
2. Lateral sinus thrombophlebitis
3. Bell's Palsy
4. Atticoantral CSOM

Correct answer: 2. Lateral sinus thrombophlebitis

Explanation: Ans. is 'b' i.e., Lateral sinus thrombophlebitis Signs of lateral sinus thrombosis (sigmoid sinus thrombosis)o Hectic Picket-Fence type of fever with rigor.o Headache, Progressive anemia and emaciation.o Griesinger's sign:- odema over the posterior part of mastoid due to thrombosis of mastoid emissary veinso Papilloedemao Tobey-Ayer testo Crowe-Beck test:- Pressure on jugular vein of healthy side produces engorgement of retinal veins. Pressure on affected side does not produce such changeo Tenderness along jugular vein